In type 2 soft palate, the posterior palatal seal should be:
1. Broad
2. Medium
3. High
4. Very narrow.

Correct answer: 2. Medium